ACTH producing lung carcinoma -
1. Small cell CA
2. Squamous cell CA
3. Mesothelioma
4. Bronchoadenocarcinoma

Correct answer: 1. Small cell CA

Explanation: Ans. is 'a' i.e., Small cell carcinoma o Small cell carcinoma of lung produces ACTH or ACTH like substance leading to Cushing's Syndrome.Paraneoplastic SyndromesClinical syndromesMajor forms of underlying cancerCausal mechanismEndocrinopathies Cushing syndromeSmall-cell carcinoma of lung Pancreatic carcinoma Neural tumorsACTH or ACTH-like substanceSyndrome of inappropriate antiduretic hormone secretionSmall-cell carcinoma of lung Intracranial neoplasmsAntiduretic hormone or atrial natriuretic hormonesHypercalcemiaSquamous cell carcinoma of lungBreast carcinomaRenal carcinomaAdult T-cell leukemia.'lymphomaParathyroid hormone-related protein (PTHRO), TGF-a, TNF. IL-1HypoglycemiaOvarian carcinoma FibrosarcomaOther mesenchymal sarcomasInsulin or insulin-like substancePolycythemiaRenal carcinoma Cerebellar hemangioma Hepatocellular carcinomaErythropoietinNerve and Muscle syndromes MyastheniaBronchogenic carcinoma Thymic neoplasmsImmunologicDisorders of the central and peripheral nervous systemBreast carcinoma Dermatologic disorders Acanthosis nigricansGastric carcinoma Lung carcinoma Uterine carcinomaImmunologic; secretion of epidermal growth factorDermatomyositisBronchogenic carcinoma Breast carcinomaImmunologic Osseous, articular, and soft tissue changesHypertrophic osteoarthropathy and clubbing of the fingersBronchogenic carcinoma Thymic neoplasmsUnknownVascular and hematologic changesVenous thrombosis (Trousseau phenomenon)Pancreatic carcinoma Bronchogenic carcinoma Other cancersTumor products (mucins that activate clotting)Disseminated intravascular coagulationAcute promyelocytic leukemia Prostatic carcinomaTumor products that activate clottingNonbactertal thrombotic endocarditisAdvanced cancersHypercoagulabi lityRed cell aplasiaThymic neoplasmsUnknownOtherNephrotic syndromeVarious cancersTumor antigens, immune complexesACTH,Adrenocorticotropic hormone; IL. interleukin; TGF, transforming growth factor; TNF. tumor necrosis fator.